Which of the following organisms does not enters through abrasions in the skin -
1. E rhusiopathiae
2. E corrodens
3. C hominis
4. C violaceum

Correct answer: 3. C hominis

Explanation: Ans. is 'c' i.e., C. hominis Bacteria circulate and multiply in blood ---> Septicemia . Bacteria circulate in blood --> Bacteremia . Toxins circulate in blood --> Toxemia . Pus in blood --> Pyemia Eikenella corrodens (E. corrodens), chromobacterium violaceum (C. violaceum) and Eikenella corrodens (E. corrodens) enters the body through skin abrasions. A wide variety of microorganisms that reside on the skin and mucous membranes of the body, as well as those found in the environment, can cause skin and soft tissue infections. These organisms enter the body through breaks in the skin or mucous membranes, through wounds made by trauma or bites or as a complication of surgery or foreign-body implantation. These organisms have been mentioned in following table : Aerobic and facultative microorganisms Anaerobic bacteria Aerobic microorganisms from unusual, Vspecialized and zoonotic infections Yeast * Coagulase negative * Peptostreptococcus * Actinobacillus * Candida albicans staphylococci spp. actinomycetemcomitans * Candida krusei * Staphylococcus aureus * Clostridium spp. * Aeromonas spp. * Candida parapsilosis * Enterococcus spp. * Eubacterium limosum * Bacillus anthracis * Streptococcus viridans * Bacteroides fragilis * Bergeyella zoohelcum * Corynebacterium spp. * Prevotella spp. * Chromobacterium violaceum * Bacillus cereus * Porphyromonas * Eikenella corrodens * E. coli * Fusobacterium * Erysipalothrix * Serratia * Veillonella spp. rhusiopathiae * Enterobactor * Francisella tularensis * Proteus * Haemophillus spp. * Morganella * Kingella kingae * Pseudomonas * Pasteurella multocida * Acinetobactor * Streptobacillus moniliformis * Vibrio vulnificus